Which part of the lens capsule is thinnest in comparison with other regions of lens?
1. Anterior part
2. Posterior part
3. Peripheral part
4. All of the above

Correct answer: 2. Posterior part

Explanation: The lens is composed entirely of epithelium surrounded by a capsule. The lens capsule is a thick, collagenous basement membrane which is transparent, is thickest at the anterior previa equatorial region and thinnest at the posterior pole. The lens epithelium is a single layer of cells lining the capsule. Ref: Parsons' Diseases of the Eye By Ramanjit Sihota & Radhika Tandon, 21st edition, Page 18.